Most radioresistance phase of the cell cycle:
1. G1 Phase
2. G2 Phase
3. S Phase
4. M phase

Correct answer: 3. S Phase